Among the following, which condition is a
contraindication to the use of local anesthetic agent?
1. Parkinson's disease
2. Liver damage
3. Pregnancy (3rd trimester)
4. Hypersensitivity to the drug

Correct answer: 4. Hypersensitivity to the drug